Meckel's diverticulum is a remnant of
1. Stenson's duct
2. Wolffian duct
3. Mullerian duct
4. Vitellointestinal duct

Correct answer: 4. Vitellointestinal duct